Diaphragmatic hernia can occur through all the following, except
1. Esophageal opening
2. Costovertebral triangle
3. Costal and sternal attachment of diaphragm
4. Inferior vena cava opening

Correct answer: 4. Inferior vena cava opening